Which of the following is true about Constitutional Delay in growth?
1. Neonates with constitutional delay show anomalies at birth
2. IGF-1 levels are low for chronological age
3. Bone age is normal
4. IGF-1 levels are low for bone age

Correct answer: 2. IGF-1 levels are low for chronological age

Explanation: Constitutional growth delay is a physiological variant of short stature. Here children grow normally upto 6-12 months of life. Thereafter, there is deceleration such that the height and weight fall below the 3rd centile. By 3 yrs of age,normal height velocity is resumed and continues to grow below and parallel to the 3rd centile. Here puberty is delayed; And the bone age is consistent with the child's height age, but lower than the chronological age by 2-3 yrs , unlike in the familial short stature. Hence IGF-1 produced is low for the chronological age but consistent with the bone age that corresponds to the height age. Ref. OP.Ghai ,9th edition, chapter 2